Best test to differentiate between medical and surgical jaudice is?
1. Alkaline phosphatase
2. Bilirubin and serum enzymes
3. Enzymes
4. Ultrasound

Correct answer: 4. Ultrasound